Sex determining region is located on ?
1. Long arm of Y chromosome
2. Short arm of Y chromosome
3. Long arm of X chromosome
4. Short arm of X chromosome

Correct answer: 2. Short arm of Y chromosome

Explanation: Product of SRY gene is sex-determining region Y protein. This protein is involved in male sexual development.